Which of the following is not a component of classical triad of ECG changes in pericardial effusion with cardiac tamponade?
1. Sinus tachycardia
2. Prolonged ST segment
3. Low voltage QRS complex
4. Electrical alternans

Correct answer: 2. Prolonged ST segment

Explanation: Ans. B. Prolonged ST segmentProlonged ST segment is not a part of classic triad of ECG findings for pericardial effusion with cardiac tamponade.* Classical triad of ECG changes in pericardial effusion with cardiac tamponade includes:- Sinus tachycardia- Low QRS voltages- Electrical alternans (best seen in leads V3 and V4 in this case; arrows)* This triad is highly specific for pericardial effusion, usually with tamponade physiology, but of limited sensitivity